What is produced by the supersensitivity of Dopamine receptors ?
1. Dyskinesia
2. Hyperphagia
3. Hyperpathia
4. Hypomania

Correct answer: 1. Dyskinesia

Explanation: Ans. is 'a' i.e., Dyskinesia (Ref: Pathophysiology, pharmacology and biochemistry of dyskinesia p. 195) Increased neostriatal dopamine receptor density and dopaminergic supersensitivity in the neuroendocrine system are associated with the development of tardive dyskinesia.